Which antimalarial drug is known to cause neuropsychiatric reaction as its adverse effect?
1. Artesunate
2. Artimisnin
3. Quinine
4. Mefloquine

Correct answer: 4. Mefloquine

Explanation: Ans. d. Mefloquine (Ref H-17th/1288).Acute reversible cognitive dysfunction and neuropsychiatric reaction manifested by confusion, psychosis, convulsions, or encephalopathy is a S/E known with Mefloquine. Approximately 1 in every 10,000 recipients develops it.MEFLOQUINE# Mefloquine (250 mg of salt weekly, adult dose) has been the antimalarial prophylactic agent of choice for much of the tropics because it is usually effective against multidrug-resistant falciparum malaria and is reasonably well tolerated.# S/E include:- Mild nausea,- dizziness,- fuzzy thinking,- disturbed sleep patterns,- vivid dreams, and- malaise# The role of mefloquine prophylaxis dunng pregnancy remains uncertain; in studies in Afnca, mefloquine prophylaxiswas found to be effective and safe during pregnancy.Also Know:Neuropsychiatric side effects are known with:# Efavirenz therapy# Anticholinergics# Aminophylline and salbutamol.# Baclofen and dantrolene# NSAIDs# Corticosteroids# Oestrogens, progesterone and its analogues and OC pills# Opioid and opioid antagonists# Antimigrane (sumatriptan) and Antiepileptics# Calcium- channel blockers# Sodium nitroprusside# Cycloserine